One of the causes of finger clubbing is:
1. Carcinoma of the lung
2. Cardiac failure
3. Bronchial asthma
4. Ischaemia heart disease

Correct answer: 1. Carcinoma of the lung